About Gastrointestinal Stromal Tumor (GIST) all are true except -
1. Most common site is stomach
2. Originates from interstitial cells of Cajal
3. Size plays a role in prognosis
4. ALK mutation is seen in most cases

Correct answer: 4. ALK mutation is seen in most cases

Explanation: . ALK mutation is seen in most cases